Drug of choice for EGFR T790M mutation of Non-Small Cell Lung Cancer is
1. Lapatinib
2. Crizotinib
3. Alemtuzumzb
4. Osimeinib

Correct answer: 4. Osimeinib

Explanation: In November 2015, Osimeinib received accelerated approval for this indication based on an overall response rate of 59% among 411 patients in two single-arm clinical trials.FDA approved drug list on March 30, 2017, the U.S.Food and Drug administration granted regular approval to Osimeinib for the treatment of patients with metastatic epidermal growth factor receptor T790M mutation positive Non-Small Cell Lung Cancer , as detected by an FDA approved test, whose disease has progressed on or after EGFR tyrosine kinase inhibitor therapy.